Following an attack of myocardial infarction the mortality and morbidity of the patient is indicated by
1. Ventricular extra systole
2. left ventricular ejection fraetion
3. Duration of syneope
4. Percentage of narrowness of coronary artery

Correct answer: 2. left ventricular ejection fraetion

Explanation: Ans. is 'b' left ventricular ejection fraction Several techniques can be used to assess the impaired cardial functions in patients. Such asend diastolic pressurecardial output andstroke volume.The disadvantage with these methods is that they can be found normal with impaired cardiac functionso a more sensitive test i.e. Ejection fraction is used for the assessment of impaired cardiac function.Ejection fraction = stroke volume/enddiastolic volume.It is more sensitive in the sense that when other parameters such as stroke volume and enddiastolic pressure are normal during any cardiac impairment, abnormality can be detected in the ejection fraction